REM sleep is associated with all except ?
1. Dreams
2. Delta waves
3. Loss of muscle tone
4. Increased BP

Correct answer: 2. Delta waves

Explanation: Ans. is 'b' i.e., Delta wave Stages of Sleep Sleep is basically divided into two phases : ? Non-REM (NREM) or slow-wave sleep : - It is called Non-REM sleep because no rapid eye movement (REM) is there on eletrooculogram, rather there is slow or quiscent eye movement. It is also referred as S-sleep (synchronized sleep) or quiet sleep or orthodox sleep because there diminished physiological functions and a low level of overall activity. It is further divided into : ? Stage 1 : - It is a transition from wakefulness to sleep and is characterized by disappearance of alpha activity and appearance of theta activity. There is slow eye movements. Stage 2 : - It is characterized by typical EEG activity i.e., Sleep spindles and IC-complex'. No eye movement occurs. Stage 3 & 4 : - Stage 3 & 4 are stages of deep sleep. These are also called slow wave sleep as these stages are characterized by slow delta waves. Delta wave appearance starts in stage 3 and dominated in stage 4. REM sleep : - The REM sleep is so named as there is rapid roving movements of eye, i.e., rapid eye movement (REM)on electro-oculogram. It is also called paradoxical sleep because there is a paradoxical elevation of brain activity & metabolism and physiological activity. The high-amplitude slow waves seen in stage 3,4 of REM sleep is replaced by rapid low voltage activity (beta wave). Features of REM sleep are : - EEG Beta wave, Reappearance of alpha wave, Saw-tooth wave (low voltage fast activity), Pontogenital-occipital spikes. Dreaming Other features : - Generalized muscular atony, Penile erection, autonomic hyperactivity (Increased pulse rate & BP) and intermittent movement of small muscle groups.